Commonest intracranial complication of CSOM is:
1. Sub-periosteal abscess
2. Mastoiditis
3. Brain abscess
4. Meningitis

Correct answer: 4. Meningitis

Explanation: (d) Meningitis(Ref. Cummings, 6th ed., 2157)The most common intracranial complication of chronic suppurative Otitis media is meningitis followed by brain abscess (temporal lobe abscess).Mastoiditis is the most common extracranial complication.Subperiosteal or postauricular abscess is the most common abscess following mastoiditis.